Dystrophic calcification occur in all except -(
1. Rheumatic heart disease
2. Lymph node
3. Normal kidney
4. Aneurysm

Correct answer: 3. Normal kidney

Explanation: Ans. is 'c' i.e., Normal kidney